The commonest organism causing cellulitis is
1. Streptococcus pyogenes
2. Streptococcus faecalis
3. Streptococcus viridans
4. Microaerophilic streptococci

Correct answer: 1. Streptococcus pyogenes

Explanation: Streptococcus pyogenes causes a variety of suppurative infection of the skin, including infection of the wound or burns, with a predilection to produce cellulitis and lymphangitis. Streptococcal subcutaneous infection ranges from cellulitis to Necrotising fasciitis. Reference: Textbook of Microbiology; Anathanarayan and paniker's; 10th edition; Page no: 215